Drug given to reduce uterine contractions during preterm labour with least side effects :
1. Ritodrine
2. Nifidipine
3. Magnessium sulphate
4. Progesterone

Correct answer: 2. Nifidipine

Explanation: Ans. is b i.e. Nifedipine